The aim of post-marketing studies is:
1. Efficacy of the drug
2. Dosage of the drug
3. Deals with alteration of the drug includes absortion, distribution, binding/storage
4. Safety and comparisons with other medicines

Correct answer: 4. Safety and comparisons with other medicines